GLUT 2 receptors ?
1. Insulin dependent
2. Insulin independent
3. Found in cardiac muscle
4. Found in brain

Correct answer: 2. Insulin independent

Explanation: Ans. is 'b' i.e., Insulin independent GLUT - 2 is insulin independent (insulin dependent GLUT is GLUT-4). It is found in B-cells of islets of pancreas, liver, epithelial cells of small intestine and kidney. Also see explanation-4 of session-2.